Oral evidence is more important than written testimony as -
1. Oral evidence cannot be cross examined
2. Oral evidence can be cross examined
3. Documentary evidence requires no proof
4. None

Correct answer: 2. Oral evidence can be cross examined

Explanation: Oral evidence is more important than documentary evidence, as it admits cross examination. Documentary evidence is accepted by the court only on oral evidence by the person concerned. Reference : The synopsis of forensic medicine & Toxicology by Dr K. S. Narayan Reddy 28th edition. Pg no : 7